Treatment of choice for acute anterior uveitis is –
1. Local steroids
2. Systemic steroid
3. Local NSAIDS
4. Systemic NSAIDS

Correct answer: 1. Local steroids

Explanation: Treatment of anterior uveitis 
The mainstay of therapy of acute anterior uveitis is eye drops. These usually include:-

Corticosteroids:- They are used along with mydriatic - cycloplegics. They act by reducing inflammation; and reducing fibrosis. Corticosteroids are the drug of choice for acute anterior uveitis.
Mydriatic - cycloplegic (Atropine 1%):- These are most useful and most effective during acute anterior uveitis (iridocyclitis). They act by:-


Gives comfort and rest to the eye by relieving spasm of iris sphincter and ciliary muscle
Prevents the formation of synechiae and may break the already formed synechiae
Reduces exudation by decreasing hyperemia and vascular permeability
Increases the blood supply to anterior uvea by relieving pressure on the anterior ciliary arteries. As a result, more antibodies reach the target tissues and more toxins are absorbed.


Symptomatic treatment is given for pain relieves, Eg: hot applications (warm compresses), aspirin (or other NSA1Ds).
Systemic steroids are indicated in severe uveitis or where there is no improvement in maximal topical steroids.
Systemic immunosuppressives (cyclosporin, methotrexate and cyclophosphamide) are indicated in some cases which do not respond to conventional steroid therapy.
Along with the symptomatic treatment of uveitis (described above), the specific treatment of underlying cause is also required, for example, removal of the lens in lens-induced uveitis.